Most common tumor of submandibular gland -
1. Warthin's tumor
2. Pleomorphic adenoma
3. Oncocytoma
4. Adenoid cystic CA

Correct answer: 2. Pleomorphic adenoma

Explanation: Ans. is 'b' i.e., Pleomorphic adenoma * Pleomorphic adenoma is the most common benign tumor of the salivary glands and can arise in any of the salivary gland.* It is the most common tumor of the parotid, submandibular 8c sublingual glands (Most common tumor of minor salivary glands are Adenoid cystic Ca & mucoepidermoid ca.)